Following is true about alcoholic dependence syndrome except -
1. No tolerance
2. Withdrawal symptoms
3. CAGE questionnaire
4. Physical dependence

Correct answer: 1. No tolerance

Explanation: Ans. is 'a' i.e., No toleranceo Alcohol dependence has following criteria (i) Tolerance; (ii) Withdrawal symptoms; (iii) Taken in larger amount or for longer duration; (iv) Persistent craving (desire) to take alcohol; (v) A great deal of time spent to obtain alcohol or to use it; (vi) Neglect of other activities (social, occupational); and (vii) Continued use despite clear evidence of overtly harmful consequences.o The CAGE questionnaire is a tool used to assess individuals for potential alcohol problems, including dependence.o Alcohol produces both physical as wrell as psychological dependence.